In case of pulmonary embolism, right ventricle hypokinesia, and decreased output, which drug therapy is most helpful?
1. Thrombolytic
2. LMW heparin
3. Warfarin
4. Heparin

Correct answer: 1. Thrombolytic

Explanation: Anticoagulation with Heparin has long been the standard treatment for normotensive patients with pulmonary embolism. By preventing clot propagation, heparin allows endogenous fibrinolysis to occur, with eventual resolution of thrombo-emboli. However in the absence of an absolute contraindication, patients with pulmonary embolism-induced hypotension or shock are usually treated with thrombolytic agents. The three thrombolytic agents used in treatment of pulmonary embolism are streptokinase, urokinase and recombinant tissue-type plasminogen activator(-PA).